Sentinel lymph node is defined as
1. Primary LN draining tumor
2. LN which is first excised during MRM
3. LN nearest to tumor
4. None

Correct answer: 1. Primary LN draining tumor

Explanation: The first axillary lymphnode draining the breast (by direct drainage) is designated as sentinel lymph node. SLN is first node involved by tumour cells and presence or absence of its histological involvement when assesed will give a predictive idea about further spread of tunour to other nodes. SRB's Manual of Surgery.Edition -5. Pg no:543